The ECG of a patient with an artificial pacemaker in the right ventricle shows -
1. Right bundle branch block with narrow QRS complex
2. Right bundle branch block with broad QRS complex
3. Left bundle branch block with broad QRS complex
4. Left bundle branch block with narrow QRS complex

Correct answer: 3. Left bundle branch block with broad QRS complex